Multiple dentigerous cysts are present in:
1. Maroteux Lamy syndrome
2. Cleidocranial dysplasia
3. Both of the above
4. None of the above

Correct answer: 3. Both of the above

Explanation: Most dentigerous cysts are solitary. Bilateral and multiple cysts are usually found in association with a number of syndromes including cleidocranial dysplasia and Maroteaux-Lamy syndrome. In the absence of these syndromes, bilateral dentigerous cysts are rare.
Reference: Shafer’s Textbook of ORAL PATHOLOGY Eighth Edition page no 67